Steroids are contraindicated in which of the folllowing ophthalmic condition
1. Endothelitis
2. Disciform keratitis
3. Vernal keratoconjunctivitis
4. Dendritic ulcer

Correct answer: 4. Dendritic ulcer

Explanation: Dendritic ulcer is absolute contraindication for the use of steroids STEROID IN OPHTHALMOLOGY *Contraindication : FUNGAL ULCER *DOC in all type of uveitis *Systemic steroids have more propensity to cause cataract *Topical steroids have more propensity to cause steroid induced rise of IOP *ULCER (epithelial defect): Avoid *Endothelitis, interstitial KERATITIS: Can provide relief *Neurotrophic ULCER: Contraindicated , can aggrevate the conditon *Herpetic Dendritic Ulcer - Contraindication *Dexamethasone and Prednisolone acetate has higher propensity of causing rise in IOP than Loteprednol and Fluromethalone